According to 2005 ABA guidelines true about number of chest compression in CPR –
1. 80/min including neonate
2. 90/min including neontate
3. 100/min excluding neonate
4. 120/min including neonate

Correct answer: 3. 100/min excluding neonate

Explanation: Compression rate for everyone (infant, child & adult is 100/minute, excluding neonate in which it is 90/minute.


Compression rate in neonate → 90/min.
Compression rate in infant, child & adult → 100/min.